The light brown perinuclear pigment seen on H & Estaining of the cardiac muscle fibres in the grosslynormal appearing heart of an 83 year old man atautopsy is due to deposition os:
1. Hemosiderin
2. Lipochrome
3. Cholesterol metabolite
4. Anthracotic pigment

Correct answer: 2. Lipochrome

Explanation: . Lipochrome